MYPA agar is used for?
1. B. anthrax
2. B. cereus
3. Campylobacter
4. S.aureus

Correct answer: 2. B. cereus

Explanation: Mannitol egg yolk phenol red polymyxin agar (MYPA) is the selective medium for Bacillus cereus Polymyxin lysozyme EDTA thallium acetate (PLET) is the selective medium for Bacillus anthracis. Skirrow's medium and Butzler medium are the selective media for Campylobacter. Ludlam's medium and salt agar are the selective media for S.aureus.